Regarding diagnostic use of FSH in menopause, true is all except
1. Test is best done on day 3 → 5 of the cycle.
2. Two measurements at least 2 weeks to 3 months apart is recommended.
3. Useful to predict when menopause will occur.
4. Monitoring FSH levels on treatment is of little value.

Correct answer: 3. Useful to predict when menopause will occur.

Explanation: FSH levels are of no use at predicting when menopause will occur.